Scaling stroke?
1. Shorty & powerful pull stroke
2. Moderate to light pull stroke
3. Moderate to light push stroke
4. A long pulling stroke

Correct answer: 1. Shorty & powerful pull stroke